In G6PD deficiency, which cells are more prone for hemolysis?
1. Older red cells
2. Young red cells
3. Reticulocytes
4. All are susceptible

Correct answer: 1. Older red cells

Explanation: a. Older red cells(Ref: Nelson's 20/e p 2335, Ghai 8/e p 339)Because mature red cells do not synthesize new proteins, G6PD enzyme activity falls quickly to levels inadequate to protect against oxidant stress as red cells age. Thus, older red cells are much more prone to hemolysis than younger ones.